Circadian rhythm is regulated by
1. Dorsomedial
2. Ventromedial
3. Supraoptic
4. Suprachiasmatic

Correct answer: 4. Suprachiasmatic

Explanation: Circadian rhythm refers to the rhythmic fluctuations in certain physiological parameters of the body. The suprachiasmatic nuclei of hypothalamus are the main site of most circadian rhythms in the body. The suprachiasmatic nuclei receive important inputs from: The eyes retinohypothalamic fibres. The lateral geniculate nuclei. Visual fibers pass to several older areas of the brain from the optic tracts to the suprachiasmatic nucleus of the hypothalamus, presumably to control circadian rhythms that synchronize various physiological changes of the body with night and day. Ref: guyton and hall textbook of medical physiology 12 edition page number: 810,811,812